Perceptual distortion of shape and reciprocal position of objects is seen in which of the following Syndrome ?
1. Pickwickian syndrome
2. Klein Levin syndrome
3. Alice in Wonderland syndrome
4. Kanner syndrome

Correct answer: 3. Alice in Wonderland syndrome

Explanation: Alice in Wonderland syndrome- Perceptual distortion of shape, size and colour Reciprocal position of objects. Seen in Schizophrenia and Migraine. Kanner syndrome Failure to develop an attachment with a parental figure Preoccupation with inanimate objects. Pickwickian syndrome Elderly and obese Sleep apnea associated with hypersomnia Kleine-Levin syndrome Hypersomnia, Hyperphagia, Hypersexuality